For post-exposure prophylaxis, dose of human rabies immunoglobulin is:
1. 10 IU/kg
2. 20 IU/kg
3. 30 IU/kg
4. 40 IU/kg

Correct answer: 2. 20 IU/kg

Explanation: Ans. B: 20 IU/kg Immunoglobulin should be given in a single dose of 20 IU per kg of body weight for human anti-rabies immunoglobulin, and 40 IU per kg of body weight for heterologous (equine) immunoglobulin. Sensitivity to heterologous immunoglobulin must be determined before it is administered. The physician should be prepared to deal with anaphylactic shock reactions. Administration of rabies immunoglobulin (RIG) should be infiltrated into the depth of the wound and around the wound as much as anatomically feasible. Any remainder should be injected at an intramuscular site distant from that of vaccine inoculation e.g. into the anterior thigh/ gluteal region Treatment should be started as early as possible after exposure, but in no case should it be denied to exposed persons whatever time interval has elapsed.